In which of the following situations, the accused is punishable under Law:
1. If under the influence of an insane delusion, a person thinks another man is attempting to kill him and he kills that man in self-defense
2. If under the influence of an insane delusion, a person thinks another man to be a wild animal and kills him
3. If under an insane delusion, a person thinks that another person has caused serious injury to his character, family or property and kills him.
4. If under the intoxication produced without his will, a person kills another person and has no recollection of it.

Correct answer: 3. If under an insane delusion, a person thinks that another person has caused serious injury to his character, family or property and kills him.

Explanation: Application of Mc Naughten's rule: If under an insane delusion, a person thinks that another person has caused serious injury to his character, family or property and kills him, he becomes responsible because under the law, no one can kill a person in revenge. If under the influence of an insane delusion, a person thinks another man is attempting to kill him and he kills that man in self-defense, he will not be held criminally responsible. If under the influence of an insane delusion, a person thinks another man to be a wild animal and kills him, he will not be held criminally responsible. Sec. 85 IPC: Nothing is an offence which is done by a person who at the time of doing it, by reason of intoxication, is incapable of knowing the nature of the act, or what he is doing is either wrong or contrary to law; provided that thing which intoxicated him was administered to him without his knowledge or against his will.